All of the following are included in the criteria for diagnosis of SLE, except:
1. Oral ulcers
2. Psychosis
3. Discoid rash
4. Leucocytosis

Correct answer: 4. Leucocytosis

Explanation: Criteria (2012) for diagnosis of SLE Clinical manifestations Skin Acute, subacute cutaneous LE (photosensitive, malar, maculopapular, bullous) Chronic cutaneous LE (discoid lupus, panniculitis, lichen planus-like, hypertrophic verrucous, chillblains) Oral or nasal ulcers Nonscarring Alopecia Synovitis involving >=2 joints Serositis (pleurisy, pericarditis) Renal Protein/Cr ratio >=0.5, RBC casts, Biopsy (lupus nephritis) Neurologic Seizures, psychosis, mononeuritis, myelitis, peripheral or cranial neuropathies, acute confusional state Hemolytic anemia Leukopenia (<4000/mL) or Lymphopenia (<1000/mL) Thrombocytopenia (<100,000/mL) Immunological manifestations ANA > reference negative value Anti-dsDNA antibody >reference, if by ELISA 2x reference Anti-Sm antibody Antiphospholipid (any of lupus anticoagulant, anti-cardiolipin, anti-b glycoprotein I) Low serum complement (C3, C4 or CH50) Positive direct Coombs test in absence of hemolytic anemia